Long-term benefit of Hormone replacement therapy includes all except
1. Decreased rate of colorectal cancer
2. Decreased rate of fracture
3. Increased duration of menstrual cycles
4. Increased Bone mineral density

Correct answer: 3. Increased duration of menstrual cycles

Explanation: Hormone - replacement therapy does not initiate menstrual cycle in post-menopausal women.